Repolarization is due to opening of which channels
1. Na
2. HCO3
3. K
4. Cl

Correct answer: 3. K

Explanation: Repolarization is due to opening of voltage-gated K+ channels. (Ref: Textbook of physiology AK Jain 5th edition page no.36)